Tooth whitening strip is
1. H2O2
2. HF
3. Carbamide peroxide
4. Sodium perborate

Correct answer: 1. H2O2